A 30-year-old patient presented with history of jaundice for 10 days. His liver function tests showed bilirubin of 10 mg/dl, SGOT/SGPT 1100/1450, serum alkaline phosphatase 240 IU. He was positive for HbsAg. What should be the confirmatory test to establish acute hepatitis infection?
1. IgM anti-HBc antibody
2. HbeAg
3. HBV DNA by CPR
4. Anti-HBc antibody

Correct answer: 1. IgM anti-HBc antibody